Schistocytes are -
1. Malarial parasite
2. WBC
3. Broken RBC
4. Schizont

Correct answer: 3. Broken RBC